Glucagon will decrease which of the following?
1. Glycogenolysis.
2. Gluconeogenesis.
3. Glycogenesis.
4. Blood glucose.

Correct answer: 3. Glycogenesis.

Explanation: Glucagon is secreted from the pancreas in response to reduced plasma glucose due to fasting and exercise. It functions to mobilize energy stores (glucose) and return blood glucose to normal levels. Glycogen synthesis (glycogenesis) will not occur in response to glucagon.